Hennebert's Sign is seen in-
1. Congenital Syphilis
2. AcousticNeuroma
3. Glomus Tumour
4. Otosclerosis

Correct answer: 1. Congenital Syphilis

Explanation: Ans. is 'a' i.e., Congenital Syphiliso Repeat from previous sessions.